The following are true about squamous cell carcinoma
(A)it is a commoner malignant skin tumour than basal cell carcinoma 
(B)it only occurs in the skin 
(C)it is the most common skin tumour seen in transplant patient
(D) metastasis is usually to the regional lymph nodes
(E)the tumour typically have everted edges
1. CDE
2. ABC
3. BAC
4. DAE

Correct answer: 1. CDE

Explanation: Basal cell carcinoma is the most common malignant skin tumor. Squamos cell carcinoma can occur in the other organs such as the lungs and bladder.